In coronary bypass graft surgery of a 49-year-old female, the internal thoracic artery is used as the coronary artery bypass graft. The anterior intercostal arteries in intercostal spaces three to six are ligated. Which of the following arteries will be expected to supply these intercostal spaces?
1. Musculophrenic
2. Superior epigastric
3. Posterior intercostal
4. Lateral thoracic

Correct answer: 3. Posterior intercostal

Explanation: The anterior intercostal arteries anastomose with the posterior intercostal arteries. Ligation of the anterior arteries would not affect the supply of the intercostal spaces because the posterior arteries would provide collateral arterial supply. Branches of the musculophrenic artery provide supply for the lower seventh, eighth, and ninth intercostal spaces. The superior epigastric artery passes into the rectus sheath of the anterior abdominal wall. The lateral thoracic artery arises from the second part of the axillary artery, and the thoracodorsal artery is a branch of the subscapular artery, a branch of the third part of the axillary artery